False statement about MODY is -
1. Age < 25 years
2. Impaired secretion of insulin
3. Responds to sulfonylureas
4. Insulin dependent

Correct answer: 4. Insulin dependent

Explanation: Maturity-onset diabetes of the young (MODY) is characterized by autosomal dominant inheritance, early onset of hyperglycemia (usually <25 years; sometimes in neonatal period), and impaired insulin secretion. It is non insulin requiring diabetes and can be managed by diet and sulfonylurea (particularly HNF-1a and HNF-4a forms). Reference : page 806-7 Davidson's Principles and practice of Medicine 22nd edition